Plunging ranula refers to a mucocoele that has penetrated which muscle?
1. Sternohyoid
2. Stylohyoid
3. Omohyoid
4. Mylohyoid

Correct answer: 4. Mylohyoid